Ectothrix is due to
1. Trichophyton tonsurans
2. Microsporum audounii
3. Trichophyton schoenleinii
4. Trichophyton violaceum

Correct answer: 2. Microsporum audounii

Explanation: EctothrixEndothrix*Trichophyton mentagrophytes*Microsporum canis*Microsporum gypseum*Microsporum audouinii*Trichophyton verrucosum*Trichophyton rubrum*Trichophyton schenleinii*Trichophyton tonsurans*Trichophyton violaceum*Trichophyton soudanese(Jagdish Chander- Text book of Medical Mycology 3rd edition, p127)